Froments Sign is seen in -
1. Ulnar nerve plasy
2. Median nerve palst
3. Musculocutaneous nerve palsy
4. Posterior Interosseus nerve palsy

Correct answer: 1. Ulnar nerve plasy

Explanation: Ans. is 'a' i.e., Ulnar nerve plasy Signs of nerve injuryFroments signUlnar nerve InjuryJeanne SignUlnar nerve InjuryEgawas testUlnar nerve InjuryCard TestUlnar nerve InjuryApe Thumb DeformityMedian nerve InjuryWrist dropRadial nerve InjuryPointing Index SignMedian nerve InjuryClaw HandCombined Ulnar and Median nerve Injury